M CHAT is used as screening tool for:
1. Autism
2. Hypothyroidism
3. ADHD
4. Partial hearing defect

Correct answer: 1. Autism

Explanation: Ans: A. Autism. (Neslon Paediatrics 19th/ch. 28)Modified checklist for Autism(MCHAT):The M-CHAT, a 23-item yes/no checklist for parents was adapted from the Checklist for Autism in Toddlers (CHAT). The checklist is quick and easy to fill out by many parents, with a literacy level cited at the 6th grade, and the scoring is straightforward.Modified Checklist for Autism in Toddlers (M-CHAT)# Designed to screen for autism at 24 months of age.# More sensitive to the broader autism spectrum.# Uses the 9 items from the original CHAT as its basis.# Adds 14 additional items (23-item total).# Unlike the CHAT, however, the M-CHAT does not require the screener to directly observe the child.# Makes use of a Yes/No format questionnaire.# Yes/No answers are converted to pass/fail responses by the screener.# A child fails the checklist when 2 or more of 6 critical items are failed or when any three items are failed.Educational points:# GADS is a screening tool for differentiating between Asperger Syndrome and general autism. The Gilliam Asperger's Disorder Scale (GADS) is a tool for assisting the diagnosis of Asperger syndrome.# The diagnostic checklist for diagnosing autism in children aged 16-48 months is MCHAT (Modified Checklist for Autism in Todlers).# Asperger syndrome is a form of autism. People with Asperger syndrome may find difficulty in social relationships and in communicating. A unique characteristic of Asperger syndrome is that they might be intellectually gifted in a certain area.